NF - 2 gene codes for?
1. α Catenin
2. Neurofibromin
3. Merlin
4. α β Catenin

Correct answer: 3. Merlin

Explanation: NF - 1 codes for neurofibromin
NF - 2 codes for merlin